Tuberculin test denotes -
1. Previous or present sensitivity to tubercle proteins
2. Patient is resistant to tuberculosis
3. Person is susceptible to tuberculosis
4. Protective immune status of individual against tuberculosis

Correct answer: 1. Previous or present sensitivity to tubercle proteins